Which of the following is used in the treatment of hyperprolactinemia?
1. Cimetidine
2. Methysergide
3. Bromocriptine
4. Ondansetron

Correct answer: 3. Bromocriptine

Explanation: Ans. (C) Bromocriptine(Ref: KDT 8/e p261)It is an ergot alkaloid and is a dopamine agonist. Dopamine acts as prolactin inhibiting hormone in the brain. Agonism of dopamine receptors by bromocriptine is responsible for its use in hyperprolactinemia.